Thalidomide was once used for treating emesis of pregnancy. Later it was withdrawn from market due to side effects, But it was reintro-duced for certain indications like multiple myeloma. All of the following are side effects of thalidomide except:
1. Anxiety
2. Optic neuritis
3. Muscle weakness
4. Tingling

Correct answer: 2. Optic neuritis

Explanation: Thalidomide is used to treat and prevent erythema nodosum leprosum, a painful skin disease associated with leprosy. It is also used together with dexamethasone (eg, Decadron) to treat patients with multiple myeloma (a cancer of the blood). Thalidomide works on the immune system to reduce inflammation. It also interferes with the growth of multiple myeloma cells, which are eventually destroyed in the body. Thalidomide is an antineoplastic (cancer medicine) and leprostatic agent. More common Anxiety chest pain cough dizziness or lightheadedness fainting fast heartbeat muscle weakness pain, redness, or swelling in the arm or leg sudden shortness of breath or troubled breathing tingling, burning, numbness, or pain in the hands, arms, feet, or legs Rare Blood in the urine decreased urination fever, alone or with chills and sore throat irregular heartbeat low blood pressure skin rash REFERENCE:www.mayoclinic.org, www.drugs.com